Warfarin anticoagulants inhibits following coagulation factors :
1. II, V, VII, IX
2. II, VII, IX, X
3. II, V, IX, X
4. II, IX, X, XIII

Correct answer: 2. II, VII, IX, X